Langerhans cell histiocytosis true is all except ?
1. Peak incidence less than 3 years of age
2. Radiosensitive
3. Diffuse form is known as litter-sewe-disease
4. Gonadal involvement occurs

Correct answer: 4. Gonadal involvement occurs

Explanation: Ans. is 'd' i.e., Gonadal involvement occurs Peak incidence of langerhans cell histiocytosis is seen in children less than 5 years. o Multifocal, multisystem langerhans cell histiocytosis is known as letter-sewe disease. o Low dose radiotherapy is effective in single system disease. Also know Childhood histiocvtosis o Three classes of childhood histiocytosis are recognized based on histopathological findings Now histiocytosis is classified into :- (i) Histiocytosis I (ii) Histiocytosis II (iii) Histiocytosis III o The most well known childhood histiocytosis previously known as histiocytosis X constitutes class I histiocytosis and includes the following three :? o Letterer - Siwe disease (Acute fielminant disseminated disease) o Eosinophilic granuloma (Solitary or few indolent lesions of bone) o Hand schuller christian disease (Intermediate form characterized by multifocal chronic involvement and classically presents as triad of diabetes insipidus proptosis and lytic bone lesin) o Class I histiocytosis is also known as langherhan's cell histiocytosis.